According to NYHA grading, Patients with marked limitation to physical activity belongs to
1. Grade I
2. Grade II
3. Grade III
4. Grade IV

Correct answer: 3. Grade III

Explanation: New York Heart Association Functional Classification of Cardiac diseaseGrade I: Patients have no limitation of physical activityGrade II: Patients have slight limitation of physical activityGrade III: Patients have marked limitation of physical activityGrade IV: Patients have an inability to carry on the physical activity without symptomsReference: Practical Guide to High-Risk Pregnancy and Delivery; Chapter 20; Cardiac Disease and Pregnancy